Blood brain barrier is crossed by:
1. Physostigmine
2. Neostigmine
3. Acarbose
4. All

Correct answer: 1. Physostigmine